A autosomal recessive disorder caused by mutation in SLC19A2 gene and characterized by megaloblastic anemia, diabetes mellitus and sensorineural hearing loss. This child responds to which nutrient
1. Vitamin B12
2. Vitamin c
3. Vitamin B1
4. Folic acid

Correct answer: 3. Vitamin B1

Explanation: This is Thiamine Responsive Megaloblastic syndrome:

It occurs due to mutation of SLC19A2 gene, encoding thiamine transporter protein, Leading to abnormal thiamine transportation.

Clinical features:

Megaloblastic anemia
Diabetes mellitus
Sensorineural hearing loss.